Which one of the following statements best characterizes lympho-granuloma venereum (LGV)?
1. The causative agent is C. trachomatis
2. In the United States, it is more common among women
3. It is most common in temperate regions
4. Penicillin is effective in early treatment

Correct answer: 1. The causative agent is C. trachomatis

Explanation: LGV is a sexually transmitted disease caused by C. trachomatis of immunotypes L1, L2, and L3. It is more commonly found in tropical climates. In the United States, the sex ratio is reported to be 3.4 males to 1 female. Tetracycline has been successful in treating this disease in the early stages; however, late stages usually require surgery.